Abortion stick used in criminal abortion causes abortion by the mechanism of
1. Uterine contraction
2. Stimulation of uterine nerves
3. Uterine infection & necrosis
4. Placental separation

Correct answer: 1. Uterine contraction

Explanation: Ans. is 'a' i.e. Uterine contraction Abortion stick is a thin wooden or bamboo stick about 15 to 20 cm long, or a twig of similar length from some irritant plant as mentioned below.When the stick is used it is equipped at one end with cotton wool or a piece of cloth soaked in an irritant substance as mentioned below.The abortion stick or the twig is introduced in the os of the uterus and retained there till uterine contractions begin.Irritant substances used to soak the abortion stickmarking nut juicecalotropis (madar)jequirityasafoetidapaste made from white arsenic, red lead etc.Irritant plants twig used for abortionmadar (Calotropis)chitra (Plumbago zeylandica)lal chitra (Plumbago rosea)kaner (Nerium odorum)